Best prognostic factor for head injury is :
1. Glasgow coma scale
2. Age
3. Mode of injury
4. CT

Correct answer: 1. Glasgow coma scale

Explanation: Answer is A (Glasgow coma scale): Amongst the option provided GCS is the single best answer of choice. Determining the patient prognosis after TBI (Traumatic Brain Injury) is difficult and complex. Several independent variables have been identified that correlate with severity. Most studies have indicated Glasgow Coma Scale in the field and at arrival at the emergency department as a highly predictive indicator of prognosis. Harrison 17th / 2601 In severe head injury eye opening, the best motor response and verbal output have been found to be roughly predictive of outcome. There have been summarized using the Glasgow coma scale. Coma score = E + M + V Patient scoring 3 or 4 have an 85% chance of dying or remaining vegetative. Patients scoring 11 or above have only a 5 -- 10% chance of dying or remaining vegetative. Intermediate scores correlate with proportional chances of recovery. Other Poor prognosis indicators : Harrison * Older age * CT evidence of compression of cisterns / midline shift * Increase ICP * Delayed evacuation of large intracerebral hemorrhage * Hypoxia & Hypotension * Carrier status for apolipoprotein E-4 allele